Non compression osteosynthesis across fracture line can be carried out by all of the following except:
1. Champy's plate.
2. Lag screw.
3. Transosseous wire.
4. Kirschner's wire.

Correct answer: 2. Lag screw.